True about cephalic vein
1. Cephalic vein end by fusion with brachial vein
2. Accompany ulnar nerve
3. Lies in delta pectoral groove
4. Drain in medial side of forearm

Correct answer: 3. Lies in delta pectoral groove